Lateral aberrant thyroid is node from
1. Papillary cancer
2. Follicular cancer
3. Thyroid lymphoma
4. Medullary cancer

Correct answer: 1. Papillary cancer

Explanation: Ans. (a) Papillary cancerRef: Page 765. Bailey and love 26th edition* Lateral aberrant thyroid is a metastatic node from papillary cancer which is not palpable